Virus infected cells are killed by -
1. Macrophages
2. Complement system
3. MHC II related cells
4. NK cells

Correct answer: 4. NK cells

Explanation: NK cells are considered as an innate immune defence against cells that have lost the expression of ClassI MHC like virus infected cells and malignant cells. Reff: Ananthanarayanan & Panikers textbook of microbiology 9th edition pg: 137